Jaw tightness is typically seen in:
1. PAN
2. Coarctation of aorta
3. Giant cell arteritis
4. Wegner's Granulomatosis

Correct answer: 3. Giant cell arteritis

Explanation: Answer is C (Giant Cell Arteritis): Jaw Claudication (law Tightness) is a typical manifestation of Temporal arteritis or Giant cell arteritis.